Which one of the following is not a feature of multiple myeloma?
1. Hypercalcemia
2. Anemia
3. Hyperviscosity
4. Elevated alkaline phosphatase

Correct answer: 4. Elevated alkaline phosphatase

Explanation: *Hypercalcaemia is seen in Multiple myeloma because of increased activity of osteoclasts. *Anemia, mainly normo or macrocytic *Hyperviscosity due to increased circulating immunoglobulins. Reference : Davidson, 23rd Edition, page no : 967.